Investigation of choice for acute SAH is:
1. CT
2. MRI
3. DSA
4. Lumbar puncture

Correct answer: 1. CT

Explanation: CT